Hernia into pouch of Douglas is __________ hernia :
1. Beclard's
2. Bochdaleks
3. Blandin's
4. Berger's

Correct answer: 4. Berger's

Explanation: Beclard's hernia → is the femoral hernia through the opening of the saphenous vein (named after Pierre Augustin Beclard).